A group tested for a drug shows 60% improvement as against a standard group showing 40% improvement. The best test to test the significance of result is-
1. Student T test
2. Chi square test
3. Paired T test
4. Test for variance

Correct answer: 2. Chi square test

Explanation: Ref: Parks 23rd edition pg 852 Chi-square test offers an alternate method of testing the significance of difference between two proportions.Advantage: it can also be used when more than 2groups are to be compared. Ref:Parks 23rd edition pg 852 Tests of significance: Qualitative: Chi- square : 2 or more than 2 groups Mc Nemar test : 1 group. ( before and after intervention) Quantitative: Paired T test: 1 group Student T test/ unpaired T test: 2 groups Anova: more than 2 groups.